Most common cause of UTI in neonate is
1. E.coli
2. S.aureus
3. Enterococcus
4. Anerobes

Correct answer: 1. E.coli

Explanation: Different topic Belongs to bacteriology